In the International death certificate one of the following is not true -
1. Part I of the certificate deals with the immediate cause only
2. Part I of the certificate deals with the immediate cause and also the underlying cause
3. Part II records significantly associated diseases
4. The certificate has been recommended by the WHO for international news

Correct answer: 1. Part I of the certificate deals with the immediate cause only

Explanation: Ans. is 'a' i.e., Part I of the certificate deals with the immediate cause only International death certificate o The basis of mortality data is death certificate. o For ensuring national and international comparability, it is necessary to have a uniform and standardized system of recording and classifying deaths. o For this purpose WHO has recommended international death certificate. o Consist offour lines: o Line Ia: Disease or condition directly leading to death Line Ib: Antecedent/ underlying cause o Line lc: Main antecedent/underlying cause o Line II: Other significant conditions contributing to death but not related to disease/ condition causing it o Example of a death certificate: o Line Ia: Renal failure Line Ib: Diabetic nephropathy a Line Ic: Diabetes mellitus o Line II: Hypertension o Concept of underlying cause, Line Ic is the most important line in death certificate, thus also known as `Essence of Death Certificate'.